Under National Cancer control Programme, oncology wings were sanctioned to -
1. Regional Cancer institutes
2. District Hospitals
3. Medical college Hospitals
4. Voluntary Agenecies treating cancer patients

Correct answer: 3. Medical college Hospitals

Explanation: Ans. is 'c' i.e., Medical college Hospital o Government hospital and government medical colleges arc provided with a grant of Rs 3.00 crores for the development of oncology wing.